Psoriasis is exacerbated by -
1. Lithium
2. B blockers
3. Antimalarials
4. All of the above

Correct answer: 4. All of the above

Explanation: Psoriasis is exacerbated by scratches, surgical incisions and injuries( isomorphic or koebners phenomenon), beta hemolytic streptococcal infection, HIV infection, antimalarials, lithium, beta adrenergic blocker, NSAIDs, corticosteroids withdrawal. From illustrated synopsis of dermatology and sexually transmitted diseases neena khanna 5th edition page no 45